Which of the following is the most common adverse effect of LSD and its related substances?
1. Bad trip
2. Flashbacks
3. Synaesthesia
4. Papillary dilatation

Correct answer: 1. Bad trip

Explanation: Most common adverse effect of LSD is BAD TRIP (Panic like reaction).